Which drug is not metabolized by acetylation?
1. Isoniazid
2. Dapsone
3. Hydralazine
4. Metoclopropamide

Correct answer: 4. Metoclopropamide

Explanation: Ans. (D) Metoclopropamide(Ref: KDT 8th/ep76)Important drugs metabolized by acetylation areS - Sulfonamides including dapsoneH - HydralazineI - IsoniazidP - Procainamide